Which of the ITIowing mosquitoes is invohed in the spread of-Japanese encephalitis ?
1. Aedes
2. Anopheles
3. Culcx
4. Mansonoides

Correct answer: 3. Culcx

Explanation: Ans. is 'c' i.e., Culex